Which of the following is RNA virus?
1. Hepatitis B virus
2. Parainfluenza virus
3. Adenoviruses
4. Herpes simplex virus.

Correct answer: 2. Parainfluenza virus

Explanation: Option 2: Parainfluenza virus contains a single-stranded, nonsegmented, negative- sense RNA genome with nucleoproteins P and L. It is surrounded by a helical nucleocapsid, which contains glycoprotein spikes. Options 1,3 ,5 are DNA viruses. List of DNA viruses: Herpes viruses (Herpesviridae family) HBV Parvovirus B virus HPV JC virus and BK virus Variola (Smallpox) and Molluscum contagiosum virus Human adenovirus